Which of the following is not a cause of "obscure autopsy"?
1. Epilepsy
2. Reflex Vagal Inhibition
3. Cardiac Tamponade
4. Anaphylaxis

Correct answer: 3. Cardiac Tamponade

Explanation: OBSCURE AUTOPSY: An autopsy done meticulously, properly and perfectly, but may present with no clear-cut findings as to give a definite cause of death, leading to the perplexity of the forensic pathologist is defined as an obscure autopsy Ref - Krishnan Vij 5th edition pg 29